Which of the following represents early effect of primary trauma from occlusion
1. Vertical pockets
2. Generalized alveolar bone loss
3. Undermining resorption
4. d)Haemorrhage and thrombosis of blood vessels in PD ligament

Correct answer: 4. d)Haemorrhage and thrombosis of blood vessels in PD ligament